The coronary sinus
1. Lies in anterior part of the coronary sulcus
2. Ends in right atrium
3. Has venae cordis minimae as its tributaries
4. Develops from right anterior cardinal vein

Correct answer: 2. Ends in right atrium

Explanation: Coronary Sinus is the largest vein of heart.it ends by opening to posterior of Right atrium. BD CHAURASIA'S HUMAN ANATOMY,VOL:1,6TH EDITION,PAGE NO:266